All of the following are indicators of ovulation except:
1. Increase in cervical mucus
2. Abdominal cramps
3. LH surge
4. Fall in body temperature

Correct answer: 4. Fall in body temperature

Explanation: Ans. D: Fall in body temperatureFrequent physical signs indicating ovulation are:Increased body temperatureLH surgeIncreased cervical mucus -cervical mucus is most abundant and becomes clear and slippery and stretches like egg whiteChange of position and firmness of cervixAbdominal cramps (Mittelschmerz)Increased libidoTender breasts